Spironolactone is most useful in _________ syndrome:
1. Zollinger-Ellison
2. Conn's syndrome
3. Cushing syndrome
4. Acromegaly

Correct answer: 2. Conn's syndrome